Persistent foetal lobulation of adult kidney is due to:
1. Congenital renal defect
2. Obstructive uropathy
3. Intrauterine infections and scar
4. Is a normal variant

Correct answer: 4. Is a normal variant